Preferred method for determining microalbuminuria is:
1. Urinary dipsticks
2. 24 hour urinary protein collection
3. Urinary A/C Ratio in a spot voided sample
4. Urinary A/C Ratio in a 24 hour collection

Correct answer: 3. Urinary A/C Ratio in a spot voided sample

Explanation: Answer is C (Urinary A/C Ratio in a spot voided sample) The preferred method to establish microalbuminuria is to determine Albuma / Creatinine Ratio (A/C Ratio) in a spot voided urine sample. `The presence of albumin in the urine in the range of microalbuminuria is best determined by a urinary A /C Ratio in a spot voided sample. The A/C ratio correlates closely with 24 hour urine albumin estimation and this measure has the advantage of avoiding in accuracies in urine collection and the unpleasentness of having to store urine during the collection process'- Hypertension Primer' 4th/384